Anion gap is increased in all except?
1. Renal tubular acidosis
2. Diabetic ketoacidosis
3. Acute tubular necrosis
4. Ethylene glycol poisoning

Correct answer: 1. Renal tubular acidosis

Explanation: Anion gap: The anion gap is the difference between primary measured cations and the primary measured anions in serum. AG= Na-(Cl- + HCO3-) Value of Normal anion gap= 10 to 12 mmol/L Anion gap is increased in: Diabetic ketoacidosis Acute tubular necrosis Ethylene glycol poisoning